Superior pulmonary sulcus carcinomas (Pancoast tumors) are bronchogenic carcinomas that typically produce which of the following clinical features?
1. Atelectasis of the involved apical segment
2. Horner syndrome
3. Pain in the T4 and T5 dermatomes
4. Nonproductive cough

Correct answer: 2. Horner syndrome

Explanation: Pancoast tumors are peripheral bronchogenic carcinomas that produce symptoms by involvement of extrapulmonary structures adjacent to the cupula. These structures include the nerve roots of C8 and T1, as well as the sympathetic trunk. Interruption of the cervical sympathetic trunk leads to miosis, ptosis, and anhidrosis, the triad of signs that constitutes Horner syndrome. Involvement of the nerve roots causes pain along the corresponding dermatomes. The peripheral location of the neoplasm makes pulmonary signs, such as atelectasis, cough, and hemoptysis, unlikely.